Chronic Active Hepatitis can be best differentiated from Chronic Persistant Hepatitis by:
1. HBs Ag
2. Antibody to HBs Ag
3. Histopathology
4. None of the above

Correct answer: 3. Histopathology

Explanation: Answer is C (Histopathology): Chronic Active Hepatitis and Chronic Persistant Hepatitis (CPH) are histopathological classification systems for various forms of chronic hepatitis based on findings on biopsy specimens. This classification system is however obsolete now and should not be used. Histopathological Classification of Chronic Hepatitis Chronic Active Hepatitis (Periportal or Interface Hepatitis) Chronic Hepatitis with histopathological features suggesting a progressive course Biopsy Features Hepatic architecture is distorted Inflammation extends beyond the portal tract (Portal tract infiltration is common with early portal tract fibrosis) Lamina Limitans is breached and hepatic lobules are invaded Piecemeal necrosis & bridging necrosis is typically seen in Lobules Chronic Persistant Hepatitis (Portal Hepatitis) Chronic Hepatitis with histopathological features suggesting a beingn and self limiting course Biopsy Features Hepatic architecture is maintained Inflammation is limited to portal tracts (Portal tract infiltration is typical but portal tract fibrosis is minimal) Minimal/No breach of Lamina Limitans Minimal /No Piecemeal necrosis or Bridging necrosis in Lobules